DSM-IV TR classification of psychiatric disorders as proposed a multiple axis system for person with psychiatric illness. Personality disorders were classified in which axis?
1. I
2. II
3. III
4. IV

Correct answer: 2. II

Explanation: Ans. B. IIThe DSM IV classification of psychiatric disorders as proposed by American Psychiatry AssociationDSM-IV* Analyze symptoms* Diagnostic features: Course of illness & Exclusion Criteria* Diagnostic reliability: Concordance between physicians' diagnoses of same patient* Lack of validity* Guidelines:- Precedence to conditions due to Substance Abuse &/or Medical problems- DO NOT give separate Diagnosis for minor disorderMain Axis:- Axis I: Majority of Diagnoses- Axis II: Disorders of Personality & Retardation- Axis III: Any other Medical Conditions (related or not)- Axis IV: Environmental &/or Psychosocial problems- Axis V: Global Assessment of Functioning (GAF)* Psychological, Social & Occupational functions* NOT Physical functions* Scored 1-100